Vocabulary of a 2-year-old child is:
1. 20 words
2. 30 words
3. 100 words
4. 200 words

Correct answer: 3. 100 words

Explanation: c. 100 words(Ref: Nelson's 20/e p 65-77, Ghai 8/e p 52-53)Vocabulary at 18 months is 10-15 words, while at 2 years, it is 50-100 words.